Schizoint are not seen in peripheral blood of which malarial parasites -
1. Pvivax
2. P falciparum
3. Povale
4. Pmalariae

Correct answer: 2. P falciparum

Explanation: Ans. is 'b' i.e., P falciparum o In peripheral smear offalciparum malaria following forms are seen -Early ring formGametocyteso Mature trophozoites and schizoint are not found in peripheral blood because schizogony occurs inside the capillary of internal organs (spleen, liver and bone marrow).